Hypotension while on dialysis is due to
1. Excessive ultrafiltration
2. Hypertensives
3. Renal disease
4. Diabetes

Correct answer: 1. Excessive ultrafiltration

Explanation: (A) Excessive ultrafiltration # INTRADIALYTIC HYPOTENSION is the presence of a decrease in systolic blood pressure PS20 mmHg or a decrease in mean arterial pressure by 10 mmHg.> Dialysis hypotension is the result of an inadequate cardiovascular response to the reduction in blood volume that occurs when a large volume of water is removed during a short period of time.